Windshield wiper syndrome is seen in
1. Dislocation of Intra ocular lens
2. Posterior capsular opacification
3. Reaction to lens material
4. Malposition of lens

Correct answer: 4. Malposition of lens

Explanation: Windshield wiper syndrome is seen due to malposition of lens: IOL movement to and fro with the movement of head Complications due to Intra ocular lens - UGH Syndrome : Uveitis , glaucoma, Hyphaema syndrome - Sunrise Syndrome (superior subluxation of IOL) - Sunset syndrome (inferior subluxation of IOL) - Lost lens syndrome (Dislocation of lens) - Windshield wiper syndrome